All of the following belong to the family of selectin, except
1. P selectin
2. L selectin
3. A selectin
4. E selectin

Correct answer: 3. A selectin

Explanation: If the endothelial cells are activated by cytokines and other mediators produced locally, they express adhesion molecules to which the lleukocytes attach loosely. These cells bind and detach and thus begin to tumble on the endothelial surface, a process called rolling.The weak and transient interactions involved in rolling are mediated by the selectin family of adhesion molecules.Selectins are receptors expressed on leukocytes and endothelium that contain an extracellular domain that binds sugars (hence the lectin part of the name).The three members of this family are E-selectin (also called CD62E), expressed on endothelial cells; P-selectin (CD62P), present on platelets and endothelium and L- selectin (CD62L), on the surface of most leukocytes. Selectins bind sialylated oligosaccharides (e.g., sialyl-Lewis X on leukocytes) that are attached to mucin-like glycoproteins on various cells.( Robbins Basic Pathology, 9th edition, page 35 )